Which needle is used for pleural biopsy-
1. Vin Silvermann's
2. Abram's
3. Abraham's
4. Osgood's

Correct answer: 2. Abram's